Drug that leads to glucose intolerance:
1. Hydrochlorthiazide
2. ACE inhiitors
3. Verapamil
4. Sulfonylureas

Correct answer: 1. Hydrochlorthiazide

Explanation: Ans. (a) HydrochlorthiazideRef KDT 6th. / 274Drugs causing glucose intolerance (hyperglycemia)* Glucocorticoids* Thiazides* Phenytoin* Pentamidine* Diazoxide* b blockers (non selective)* Protease inhibitors* b-IFN* Clozapine* b adrenergic agonist* Thyroid hormone* Nicotinic acidNote:* Sulfonylureas are oral hypoglycemic agents. They causes hypoglycemia.* ACE inhibitors also causes hypoglycemia.* Other agents causing hypoglycemia: Quinine, Pentamidine, Octreotide, Insulin.